In alcohol withdrawal, drug of choice is
1. TEP
2. Chlormethazole
3. Chlordiazepoxide
4. Buspirone

Correct answer: 3. Chlordiazepoxide

Explanation: The usual duration of uncomplicated withdrawal syndrome is 7-14 days. The aim of detoxification is the symptomatic management of emergent withdrawal symptoms. The drugs of choice for detoxification are usually benzodiazepines. Chlordiazepoxide (80-200 mg/day in divided doses) and diazepam (40-80 mg/day in divided doses) are the most frequently used benzodiazepines. The higher limit of the normal dose range is used in delirium tremens. A typical dose of Chlordiazepoxide in moderate alcohol dependence is 20 mg QID (four times a day) on day 1, 15 mg QID on day 2, 10 mg QID on day 3, 5 mg QID on day 4, 5 mg BD on day 5 and none on day 6. However, in more severe dependence, higher doses are needed for longer periods (up to 10 days). These drugs are used in a standardised protocol, with the dosage steadily decreasing every day before being stopped, usually on the tenth day. Ref: A Short Textbook of Psychiatry, Niraj Ahuja, 7th Edition, pg. no.40